Failure of the administrators of the hospital to provide adequate facilities comes under
1. Contributary negligence
2. Corporate negligence
3. Composite negligence
4. Therapeutic misadventure

Correct answer: 2. Corporate negligence

Explanation: Corporate negligence It is the failure of the administrators of the hospital to provide the adequate facilities including doctors. The hospital administration should provide standard equipments and competent employees. If the damage has occured as a result of negligent action of hospital administration, then it is liable for the damages. Ref: FORENSIC MEDICINE AND TOXICOLOGY Dr PC IGNATIUS THIRD EDITION PAGE 382